Musculocutaneous nerve supplies all of the following EXCEPT:
1. Brachialis
2. Brachioradialis
3. Biceps
4. Coracobrachialis

Correct answer: 2. Brachioradialis

Explanation: ANSWER: (B) BrachioradialisREF: Gray's anatomy, 39th edition, page 848The musculocutaneous nerve arises from the lateral cord of the brachial plexus, opposite the lower border of the Pectoralis major, its fibers being derived from C5, C6 and C7.Course:It penetrates the Coracobrachialis muscle and passes obliquely between the Biceps brachii and the Brachialis, to the lateral side of the arm; a little above the elbow it pierces the deep fascia lateral to the tendon of the Biceps brachii and is continued into the forearm as the lateral cutaneous nerve of the forearm.In its course through the arm it innervates the Coracobrachialis, Biceps brachii, and the greater part of the Brachialis.The branch to the Coracobrachialis is given off from the nerve close to its origin, and in some instances as a separate filament from the lateral cord of the plexus; it is derived from the seventh, cervical nerve.The branches to the Biceps brachii and Brachialis are given off after the musculocutaneous has pierced the Coracobrachialis; that supplying the Brachialis gives a filament to the elbow-joint.